Beds in CHC:
1. 20
2. 30
3. 40
4. 60

Correct answer: 2. 30

Explanation: Ans. (b) 30Ref: K. Park 23rd ed. / 907* PHC level: 4 to 6 bed and staff 15 and 1 MBBS and medical officer* CHC level: 30 beds and 30 staff including 7 doctors MD/MS/OBS/GYNE/ PEDIA/ OPTHA/ANES/PSM* Sub center level: zero bed and 3 staff. MPW (1 male and l female)/ ANM (auxiliary nurse midwife).